The amount of blood loss during each menstrual period is :
1. 10 cc
2. 35 cc
3. 50 cc
4. 100 cc

Correct answer: 2. 35 cc

Explanation: 35 cc